Order of the following structures of fallopian tube from lateral to medial-
1. Ampulla-Infundibulum-Isthmus-Interstitial
2. Infundibulum-Ampulla-Isthmus-Interstitial
3. Isthmus-Infundibulum-Ampulla-Interstitial
4. Ampulla-Isthmus-Infundibulum-Interstitial

Correct answer: 2. Infundibulum-Ampulla-Isthmus-Interstitial

Explanation: The fallopian tube is divided into four parts from lateral to medial, as, infundibulum, ampulla, isthmus, and interstitial regions.